The following drug selectively acts on beta receptors
1. Dopamine
2. Isoprenaline
3. Nor adrenaline
4. Adrenaline

Correct answer: 2. Isoprenaline

Explanation: Isoprenaline acts only on beta 1 and beta 2 receptors.